Modiolus at the corner of mouth is formed by all of the following muscles except
1. Triangularis
2. Buccinator
3. Masseter
4. Orbicularis oris

Correct answer: 3. Masseter